Final acceptor of electrons in ETC is:
1. Cyt c
2. Oxygen
3. FADH2
4. CoQ

Correct answer: 2. Oxygen

Explanation: Ans. B. Oxygen(Ref: Harper 31/e page 123)Electrons are transferred in the ascending order of redox potential, the final oxygen electron acceptor is oxygen.